'H' shaped vertebra is seen in:
1. Phenylketonuria
2. Sickle cell anemia
3. Hemangioma
4. Osteoporosis

Correct answer: 2. Sickle cell anemia

Explanation: Ans. Sickle cell anemia